A patient with grandmal epilepsy would likely be under treatment with:
1. Meprobamate
2. Pentobarbital
3. Trimethadione
4. Phenytoin

Correct answer: 4. Phenytoin